"Call-Exner bodies" are seen in
1. Yolk sac tumor
2. Granulosa cell tumor
3. Hilus cell tumor
4. Brenner tumor

Correct answer: 2. Granulosa cell tumor

Explanation: Ans. b (Granulosa cell tumor). (Ref. Robbin Pathology, 6th ed., 1233)GRANULOSA CELL TUMOR# It is a sex cord stromal tumor that occurs at any age but most common\y in a postmenopausal woman (2/3rd).# It is a virilizing tumor, produces estrogen, causing precocious puberty in prepubertal girls and endometrial hyperplasia, cystic disease of the breast and endometrial carcinoma.# These are potentially malignant tumors.# The tumor cells are arranged in sheets punctuated by small follicle-like structures filled with an acidophilic material, known as Call-Exner bodies.Classification of Ovarian TumorsOriginSurface epithelial cells (Surface epithelial-stromal cell tumors)Germ cellsex cord-stromalMetastasis to ovariesOverall frequency65%-70%15%-20%5%-10%5%Proportion of malignant ovarian tumors90%3%-5%2%-3%5%Age group affected20+ years0-25+ yearsAll agesVariableTypes- Serous tumor- Mucinous tumor- Endometrioid tumor- Clear cell tumor- Brenner tumor- Cystadenofibroma- Teratoma- Dysgerminoma- Endodermal sinus tumor- Choriocarcinoma- Fibroma- Granulosa-theca cell tumor- Sertoli- leydig cell tumor